A nurse having vaccinated with hepatitis B (Not previous affect the hepatitis-B- infection).Which of the following found in blood examination.
1. HBsAg
2. Anti HBs Ag
3. AntiHBCAg
4. Anti HBs Ag Anti HBC, core antigen

Correct answer: 2. Anti HBs Ag

Explanation: (Anti HBs Ag) (570-71-CMDT-08) (1933-34-H17th)Anti HBs antibody - appears in most individuals after clearance ofHBsAg and after successful vaccination against hepatitis B - signal recovery from HBV infection, non infectivity and immunity* HBe Ag indicates viral replication and infectivity** HBs Ag indicates the first evidence of infection* HBV DNA is more sensitive and precise marker of viral replication and infectivity*** IgG Anti HBc also appears during acute hepatitis B- But persists indefinitely* IgM anti HBc appears shortly after HBs Ag is detectedCommon serologic pattern in Hepatitis - B virus infection and their interpretationHBsAgAnti HBsAnti HBcHBe AgAnti HBeInterpretation+-IgM+-Acute hepatitis - B+-IgG+-Chronic hepatitis-B with Acute viral replication+-IgG-+Chronic hepatitis- B with low viral replication++IgG+ or-+ or -Chronic hepatitis -B with heterotypic anti HBs (About 10% (cases)--IgM+ or --Acute hepatitis -B-+IgG-+ or -Recovery from hepatitis-B (Immunity)-+---Vaccination (Immunity)**--IgG--False positive,less commonly infection in remote past